Which element of the following on disintegration leads to daughter element in gaseous form
1. Radium
2. Iridium
3. Radon
4. Uranium

Correct answer: 1. Radium

Explanation: Radium REF: Encyclopedia of environmental science - page 299 As radium decays or disintegrates, it forms Radon gas (earth's only naturally produced radioactive gas), which can enter homes, buildings, and wells and if not ventilated may cause Radiation sickness.